Vein located in anterior interventricular sulcus -
1. Great cardiac vein
2. Coronary sinus
3. Middle cardiac vein
4. Small cardiac vein

Correct answer: 1. Great cardiac vein

Explanation: Ans. is 'a' i.e., Great cardiac vein Coronary (Atrioventricular) sulcusGreat cardiac vein, coronary sinus, Small cardiac vein, RCA, LCX.Anterior interventricular sulcusGreat cardiac vein, left anterior descending (interventricular) artery.Posterior interventricular sulcusMiddle cardiac vein, Posterior interventricular branch of RCA.